Gangrene of the Intestine seen in all EXCEPT
1. Shock
2. Polyarteritis nodosa
3. Giant cell arteritis
4. Tricuspid endocarditis

Correct answer: 4. Tricuspid endocarditis

Explanation: (Tricuspid - endocarditis) (518, 821- Robbins 7th)1. Arterial thrombosis - severe atherosclerosis, systemic vasculitis (Poly- arteritis- nodosa), dissecting aneurysm, surgical accidents, hypercoagulable states & OCP2. Arterial embolism - Cardiac vegetations, aortic athero embolism3. Venous thrombosis - Hypercoaguloble states, OCP, Intraparietal sepsis, invasive neoplasm, cirrhosis, abdominal trauma4. Miscellaneous - Cardiac failure, shock, dehydration, vaso constrictive drugs, radiation, volvulus, strictures herniationTricuspid endocarditis causes embolic complication (Infarction) of lung, not system organs (576- R)